Drug of choice for acute severe migraine is
1. NSAID
2. Beta blockers
3. Sumatriptan
4. Caffeine

Correct answer: 3. Sumatriptan

Explanation: Acute migraine is a general term for migraines that aren't diagnosed as chronic. Another name for this type is episodic migraine.People who have episodic migraines have headachesup to 14 days a month. Thus, people with episodic migraines have fewerheadaches a month than people with chronic ones. Triptans are drugs of choice for severe migranes along with NSAIDs . Ref: KD Tripathi 8th ed.